Commonest type of cong. cyanotic heart disease is
1. ASD
2. VSD
3. TOF
4. PDA

Correct answer: 3. TOF

Explanation: Most common cyanotic heart disease is tetrology of fallot encountered beyond the age of 1 yr constituting almost 75% of all blue patient. Ref : Ghai essential pediatrics,eighth edition, P.no:420